Young male presents with delayed puberty with decreased FSH, LH and testosterone. Which of the following is not the possible diagnosis :
1. Kallmann syndrome
2. Klinefelter syndrome
3. Consitiutional delay
4. Dax-1 gene mutation

Correct answer: 2. Klinefelter syndrome

Explanation: Klinefelter's syndrome Eunochoid in built Infertile with small penis,testis,varying degree of gynaecomastia Sex chromatin is positive Karyotype is XXY/XXXY Genitalia are small and infantile, genital ducts are wolfian Serum gonadotropins are elevated D.C.DUTTA'S TEXTBOOK OF GYNAECOLOGY,Pg no:444,6th edition